In epidural anaesthesia drug is injected ?
1. Outside the dura
2. Inside the duramater
3. Inside arachnoidmater
4. Inside piamater

Correct answer: 1. Outside the dura

Explanation: Ans. is 'a' i.e., Outside the dura